CSF Otorrhea is due to involvement/trauma of:
1. Cribriform plate
2. Petrous temporal bone
3. Parietal bone
4. Tympanic membrane

Correct answer: 2. Petrous temporal bone

Explanation: CSF otorrhea - CSF coming from ear due to trauma to petrous temporal bone. CSF Rhinorrhea - CSF watery discharge from nose